Spherocytosis in peripheral blood smear is seen in which of the following?
1. Post-transfusion
2. Hereditary spherocytosis
3. Hemolytic disease of newborn
4. All of the above

Correct answer: 4. All of the above

Explanation: Spherocytosis is seen in Hereditary spherocytosis Autoimmune hemolytic anemia Hemolytic disease of newborn Post-transfusion Heinz body hemolytic anemia (G6PD deficiency, etc.) Water-dilution hemolysis (IV water infusion or drowning (fresh water)) Fragmentation hemolysis (Burns, mechanical trauma) Spherocytes represent red cells, with the most decreased surface area:volume ratio seen in hereditary spherocytosis, immune hemolytic anemia, stored blood, Heinz body hemolytic anemia, and caused by cell fragmentation.